Most common cause of unilateral proptosis is-
1. Thyrotoxicosis
2. Retinoblastoma
3. Intraocular haemorrhage
4. Raised intracranial tension

Correct answer: 1. Thyrotoxicosis

Explanation: *Thyroid orbitopathy is the most common cause of bilateral and unilateral proptosis. Ref: Head & Neck surgery 2nd/e p.1513